As per WHO protocol ATT drug C/l in pregnancy:
1. Rifampicin
2. Pyrazinamide
3. Ethambutol
4. Streptomycin

Correct answer: 4. Streptomycin

Explanation: Ans: D (Streptomycin) T.B Treatment during pregnancy Park 21st/175"During pregnancy, streptomycin can cause permanent deafness in the baby, so ethambutol should be used instead of streptomycin. Isonsazid, rifampicin, pyrazinamide & ethambutol are safe to use. Second-line drugs such as fluoroquinolones, ethionamide PS protionamide are teratogenic & should not he used"T.B Treament during pregnancy1 KDT6th/ 748-49"The WHO & British Thoracic Society consider H, R & Z to be safe to the foetus & recommended the standard 6 month (2HRZ+4HR) regimen for pregnant women with T.B. Ethambutol can be added during late but not early pregnancy Streptomycin is contraindicated"